Which of the following is least characteristic of anorexia nervosa –  a) Lowered vital signs when the weight is low  b) Decreased physical activity  c) history of obestity  d) Denial of illness
1. ab
2. bc
3. cd
4. bd

Correct answer: 2. bc